Achalasia cardia
1. Absence of nerves
2. Absence of muscles
3. Hypertrophy of nerves
4. Hypertrophy of muscles

Correct answer: 1. Absence of nerves

Explanation: Achalasia of the oesophagus is a neuromuscular dysfunction due to which the cardiac sphincter fails to relax during swallowing and results in progressive dysphagia and dilatation of the oesophagus (mega-oesophagus). etiology. There is loss of intramural neurons in the wall of the oesophagus. Most cases are of primary idiopathic achalasia which may be congenital. Secondary achalasia may occur from some other causes which include: Chagas' disease (an epidemic parasitosis with Trypanosoma cruzi), infiltration into the oesophagus by gastric carcinoma or lymphoma, certain viral infections, and neurodegenerative diseases. TEXTBOOK OF PATHOLOGY HARSH MOHAN 6TH EDITION PAGE NO:538